The prostatic urethra is characterized by all of the following features, except
1. Is the widest and most dilatable part
2. Presents a concavity posteriorly
3. Lies closer to anterior surface of prostate
4. Receives prostatic ductules along its posterior wall

Correct answer: 2. Presents a concavity posteriorly

Explanation: The prostatic urethra, the widest and most dilatable part of the urethra canal, is about 3 cm. long The transverse section of this canal is shaped like a horse-shoe. Its convex part is directed towards the front.